The normal respiratory quotient for carbohydrates is
1. 0.5
2. 0.75
3. 0.8
4. 1

Correct answer: 4. 1

Explanation: “Respiratory Quotient” Is the Ratio of CO2  Production to O2 Utilization and Can Be Used to Estimate Fat and Carbohydrate Utilization.  When carbohydrates are metabolized with oxygen, exactly one carbon dioxide molecule is formed for each molecule of oxygen consumed. This ratio of carbon dioxide output to oxygen usage is called the respiratory quotient, so the respiratory quotient for carbohydrates is 1.0.